Lupus pernio is seen in-
1. Tuberculosis
2. SLE
3. PAN
4. Sarcoidosis

Correct answer: 4. Sarcoidosis

Explanation: Ref Davidsons 23e p609